Xerophthalmia Grade X-3A
1. Corneal xerosis
2. Bitot spot
3. Corneal ulcer involving less than 1/3 of corneal surface
4. Corneal ulcer involving more than 1/3 of corneal surface

Correct answer: 3. Corneal ulcer involving less than 1/3 of corneal surface

Explanation: Ans. is 'c' i.e., Corneal ulcer involving less than 1/3 of corneal surface WHO classification of xerophthalmia XN Night blindness XIA Conjunctival xerosis XIB Bitot's spots X2 Corneal xerosis X3A Corneal ulceration/keratomalacia affecting less than one-third corneal surface X3B Corneal ulceration/keratomalacia affecting more than one-third corneal surface XS Corneal scar due to xerophthalmia XF Xerophthalmic fundus